Peripheral retinal degeneration is most common in case of –
1. Myopia
2. Presbyopia
3. Hypermetropia
4. Astigmatism

Correct answer: 1. Myopia